Prognosis of a disease can be given by-
1. Secondary attack rate
2. Incubation period
3. Latency
4. Serial interval

Correct answer: 2. Incubation period